Which of the following nerve does not supply muscles of gluteal region?
1. Sciatic nerve
2. Sup gluteal nerve
3. Inf gluteal nerve
4. Nerve to obturator internus

Correct answer: 1. Sciatic nerve

Explanation: Sciatic nerve (L4-S3) is the largest peripheral nerve in the body. The sciatic nerve is comprised of the tibial and common peroneal nerve and exits the pelvis inferior to the piriformis muscle, and usually gives no branches in the gluteal region.Superior gluteal nerve (L4-S1): Supplies to gluteus medius and minimus muscles, also provides motor innervation to the tensor fascia latae muscle. Inferior gluteal nerve (L5-S2): Provides motor innervation to the gluteus maximus muscle. Nerve to obturator internus muscles (L5-S2): Provides motor innervation to the superior gemellus muscle and obturator internus muscle. Ref: Clinical anatomy by regions by Richard S. Snell, 8th edition, Page 565.